Enzymatic activity of RNA is involved in all of the following EXCEPT
1. RNA-Aptamer binding to cognate small molecules
2. Cleavage of nucleic acids
3. Peptide bond formation
4. RNA splicing

Correct answer: 1. RNA-Aptamer binding to cognate small molecules

Explanation: Ribozymes Present in some RNA molecules Have intrinsic catalytic activity Involve the cleavage of a nucleic acid Two ribozymes are the peptidyl transferase that catalyzes peptide bond formation on the ribosome Involved in the RNA splicing. Aptamers are oligonucleotide or peptide molecules that bind to a specific target molecule.